Slapped-cheek appearance is seen in:
1. Parvovirus
2. EBV
3. HSV6
4. HSV 4

Correct answer: 1. Parvovirus

Explanation: Ans. aOption aTrueOption bFalseOption cFalseOption dFalseOption eFalseRef.: Nelson's Book of Pediatrics Vol 1. 20th Edition, Pg 1570.Erythema infectiosum (also known as fifth disease or slapped cheek disease) is usually a benign childhood condition characterized by a classic slapped-cheek appearance and lacy exanthem.It results from infection with human parvovirus B19, an erythrovirus.The disease usually spreads by the droplets of an infected person. It can also occur through blood products or vertically from mother to child.It can resemble other childhood rashes, such as rubella or scarlet fever, but, slapped cheek syndrome usually begins with the distinctive, sudden appearance of bright red cheeks that look as if the child has been slapped.The disease is rare in infants and adults.Fetal infection can result in anemia, fetal hydrops or death.Symptoms in ChildrenHigh temperature of 38degC (100.4degF).Bright red cheeks.A flat or raised red rash, usually on the arms and legs, which lasts from 2 to 39 days and may itch. The rash fades from the center of red areas towards the edges, giving it a lacy appearance.Less commonly, headache, sore throat and joint pain.Usually no treatment is required. NSAIDs can be prescribed if there is associated arthralgia.